Entropy in a biological system does not increase because:
1. It is an open system
2. It is a closed system
3. It is a governed by vitalism
4. It is a related to thermodynamics

Correct answer: 1. It is an open system

Explanation: According to the second law of thermodynamics, when energy is converted from one form to another, some usable energy is converted into heat that disperses into the surroundings. The entropy of a closed system will tend to increase to a maximum value. Whereas entropy in a biologic system does not increase as it is an open system. Entropy is a measure of the amount of molecular disorder within a closed system. A system that has a high degree of molecular disorder (such as high temperature gas) has a very high entropy value, whereas those with a very low degree of molecular disorder (such as crystalline solid) has a very low entropy value. An entropy value of zero is found in a system which has all its atoms arranged in a perfectly ordered manner. Ref: Biology By Eldra Pearl Solomon, Page 154 ; Modern Engineering Thermodynamics By Robert T. Balmer, Page 206